Which one of the following neurological conditions is not inherited in autosomal dominant pattern
1. Neurofibromatosis
2. Friedreich's ataxia
3. Marfan's syndrome
4. None

Correct answer: 2. Friedreich's ataxia

Explanation: Friedreich ataxia Gene :FXN,locus:9q21.1 ; protein :frataxin; repeat GAA; normal: 7-34 ; Disease :34-80 (pre); >100 (full) Friedreich ataxia is an inherited condition that affects the nervous system and causes movement problems.This condition is caused by mutations in the FXN gene and is inherited in an autosomal recessive pattern Ref Robbins 9/e pg 168